Gastric Lavage is contraindicated in poisoning:
1. Kerosene
2. Organophosphorus
3. Arsenic
4. Morphine

Correct answer: 1. Kerosene

Explanation: A i.e. Kerosene